60 yrs old male with poor stream of urine, post void residual urine is 400ml, b/l hydronephrosis and prostate weighing 70 g. His urea is 120 and creatinine 3.5. Ideal "next immediate" step
1. Catheterize with Foley catheter
2. B/L PC Nephrostomies
3. CT to rule out Ca
4. MRI pelvis

Correct answer: 1. Catheterize with Foley catheter

Explanation: Foley catheter is a flexible tube that a clinician passes through the urethra and into the bladder to drain urine. It is the most common type of indwelling urinary catheter. Foley catheters are used during the following situations: On patients who are anesthesized or sedated for surgery or other medical care On comatose patients On some incontinent patients On patients whose prostate is enlarged to the point that urine flow from the bladder is cut off On patients with acute urinary retention On patients who are unable due to paralysis or physical injury to use either standard toilet facilities or urinals Following urethral surgeries Following ureterectomy On patients with kidney disease whose urine output must be constantly and accurately measured Before and after cesarean section Before and after hysterectomy On patients who have had genital injury On anorexic patients who are unable to use standard toilets due to physical weakness and whose urine output must be constantly measured On patients with fibromyalgia who cannot control their bladder On patients who have severe skin impairment and/or breakdown Ref: https://en.m.wikipedia.org/wiki/Foley_catheter